In Prader Willi syndrome, which of the following is increased?
1. LH
2. FSH
3. Growth hormone
4. Ghrelin

Correct answer: 4. Ghrelin

Explanation: Prader-Willi syndrome (PWS) is a genetic disorder occurring in 1 of 10,000-16,000 live births and is characterized by excessive appetite with progressive massive obesity as well as short stature and intellectual disability. Most patients have GH deficiency and hypogonadotropic hypogonadism (low levels of FSH, LH). The cause of obesity is thought to be due to increased levels of ghrelin. Ghrelin Growth hormone secretagogue Only gut hormone with orexigenic (means increasing food intake) property. Primarily produced in the stomach. Important role in hyperphagia, hence affected children are obese. IMG showing (Genomic Imprinting) leading to Prader willi syndrome(chr 15)